A patient needs antibiotic treatment for an artificial valve, culture-positive infective enterococcal endocarditis. His medical history includes severe anaphylactic reaction to penicillin G during the past year. The best approach would be treated with :
1. Amoxicillin–clavulanic acid
2. Aztreonam
3. Cefazolin plus gentamicin
4. Vancomycin

Correct answer: 4. Vancomycin